Negative Mantoux test is when induration is
1. <10 mm
2. <15 mm
3. <20 mm
4. <5 mm

Correct answer: 4. <5 mm